All cells do not divide at the same rate. Events in which phase of the cell cycle determine when a cell is going to replicate?
1. M phase
2. G1 phase
3. S phase
4. G2 phase

Correct answer: 2. G1 phase